Sandstorm appearance on Chest radiograph is characteristic of?
1. Pulmonary edema
2. Pulmonary alveolar proteinosis
3. Pulmonary alveolar microlithiasis
4. Pulmonary thromboembolism

Correct answer: 3. Pulmonary alveolar microlithiasis

Explanation: Pulmonary alveolar microlithiasis is a chronic disease characterized by widespread diffuse bilateral intraalveolar accumulation of minute calculi (microlithiasis) especially in mid and lower zones, giving characteristic sandstrom appearance on chest radiographs.